Microangiopathic hemolytic anemia is associated with:
1. Diabetes Mellitus
2. Vitamin B12 deficiency
3. Hemolytic uremic syndrome
4. All of the above

Correct answer: 3. Hemolytic uremic syndrome

Explanation: Ans. C: Hemolytic uremic syndrome Mechanism of HUS -RBCs damaged by injured vessel endothelium HUS is microangiopathic hemolytic anemia with fragmented RBC's in peripheral blood smear, thrombocytopenia and acute renal failure Infection is the triggering factor and if associated indicates a poor prognosis